Chalazion of lid is aEUR'
1. Caseous necrosis
2. Chronic nonspecific inflammation
3. Chronic lipogranulomatous inflammation
4. Liposarcoma

Correct answer: 3. Chronic lipogranulomatous inflammation

Explanation: Chronic lipogranulomatous inflammation Chalazion: Also known as tarsal or meilmmian cyst It is not a cyst. It results from obstruction of a sebaceous gland either meibomian or Zeis. Extravasated lipid material produces a surrounding chronic lipogranulomatous inflammation (Yanoff & Duker Ophthalmology) Acute lesions are treated with hot compresses while chronic chalazia are treated using intralesional corticosteroid (e.g. Triamcinolone acetonide) or by surgical drainage (incision & curettage)